Indicator for sterilization by autoclave -
1. Bacillus subtilis
2. Bacillus stereothermophilus
3. Staphylococcus aureus
4. Clostrtidium tetani

Correct answer: 2. Bacillus stereothermophilus

Explanation: Ans. is 'b' i.e., Bacillus stereothermophilus Type of SterilizationSpore usedMoist heat (autoclave)Bacillus stearothermophilusDry heat (hot air oven)Bacillius subtilisIonizing radiationBacillus pumilisGas sterilization (ethylene oxide)Bacillus subtilisPlasma sterilizationBacillus stearothemophilus